What is true about Mollaret meningitis?
1. Is caused by herpes simplex 2 in most of the cases
2. A recurrent, benign, septic meningitis
3. It is now referred to as "Benign rcurrent neutrophilic . . Meningitis"
4. All of the above

Correct answer: 1. Is caused by herpes simplex 2 in most of the cases

Explanation: Harrison's principles of internal medicine 17th edition. *Most of cases of recurrent viral or aseptic meningitis including cases previously diagnosed as mollaret's meningitis are likely due to HSV-2.